The use of porcelain laminates is indicated for:
1. Teeth in parafunction
2. Heavily restored teeth
3. Closure of 1 mm diastema
4. Lower anterior teeth

Correct answer: 3. Closure of 1 mm diastema

Explanation: All other options are relative contraindications of porcelain veneers.